The classical triad of amniotic fluid embolism includes except ________
1. Metabolic acidosis
2. Hypotension
3. Hypoxia
4. Severe consumptive coagulopathy

Correct answer: 1. Metabolic acidosis

Explanation: The classical triad of amniotic fluid embolism includes the following: Hypotension Hypoxia Severe consumptive coagulopathy Predisposing conditions: Rapid labor Mecomium-stained aminotic fluid Tears into uterine and other large pelvic veins Older maternal age Post-term preganancy labbor induction or augmentation Eclampsia Casarean/forceps/vaccum delivery Placental abruption / placenta previa Hydraminos Clinical picture: Late stage of labor/immediate postpartum: Sudden gasping for air - Sudden seizures/Cardiorespiratory arrest - massive hemorrhage due to disseminated intravascular coagulation (DIC) Ref:Online resources